"Hyperpyrexia" is defined as, when body temperature is
1. > 105.7degF
2. 106.6degF
3. 106.7degF
4. 107.8degF

Correct answer: 3. 106.7degF

Explanation: (C) 106.7degF # FEVER & HYPERTHERMIA:> The maximum normal oral temperature is 37.2degC (98.9degF) at 6 A.M. and 37.7degC (99.9degF) at 4 P.M.; these values define the 99th percentile for healthy individuals.> In light of these studies, an A.M. temperature of >37.2degC (>98.9degF) or a P.M. temperature of >37.7degC (>99.9degF) would define.